Organism which causes pancreatitis
1. Mumps
2. Measles
3. Candida
4. Treponema

Correct answer: 1. Mumps